A person consumes large quantities of alcohol daily since 20years. He is physically dependent on alcohol. Drug that should not be given to this person is:
1. Disulfiram
2. Acamprosate
3. Naltrexone
4. Chlordiazepoxide

Correct answer: 1. Disulfiram

Explanation: Ref: KDT 7th/393-394 The aim of treatment in alcohol dependence is to prevent withdrawl symptoms first and to avoid relapse thereafter. *Drugs to reduce craving are: - N- Naltrexone - O- Ondansetron - T- Topiramate - A- Acamprosate *Disulfiram is used in psychological dependent persons who are motivated to quit alcohol. It is contra-indicated in physically dependent persons.